Cavernous Respiration is seen in:
1. Cavity
2. Consolidation
3. Fibrosis
4. Interstitial Inflammation

Correct answer: 1. Cavity

Explanation: Answer is A (Cavity): Cavernous Respiration (Cavernous Breathing) is a low pitched bronchial breath sound heard over a cavity which is situated superficially and communicates with a patent bronchus. Bronchial breath sounds The bronchial breath sound originates in the larger airways and are transmitted directly to the chest wall without passing through the alveoli. The sound passing through the lung tissue is not modified and auscultated like bronchial sounds from the chest walls. This sound resembles the sound obtained by listening over the trachea (directly placing a stethoscope on the trachea). The characteristics of these sounds are: Duration of expiration is equal to or longer than that of inspiration. Intensity of expiration is more than that of inspiration. There is a definite gap between inspiration and expiration. Sounds are harsh or aspirate in nature. They are high-pitched with frequencies above 600Hz Bronchial Breath Sounds Bronchial breath sounds are of three types: tubular, cavernous, and amphoric. Tubular Bronchial Breath sound The tubular bronchial breath sound is a high pitched sound resulting from the passage of vibrations produced in the small bronchi directly to the chest wall through a solid lung tissue. This is seen when the lung parenchyma becomes a solid mass, as in consolidation. Cavernous Bonchial Breath sound The cavernous bronchial breath sounds is a low pitched bronchial breath sound heard over a cavity, which is situated superficially and communicated to a patent bronchus. The size of the cavity should be more than 2 cm in diameter to produce a cavernous breath sound. Amphoric Bronchial Breath sound The amphoric bronchial breath sounds is a high pitched bronchial sound that resembles the sound produced by blowing air into a wide-mouthed bottle. This is heard over a very large cavity communicating pneumothorax. It is also seen in large pulmonary cysts having communication with a patent bronchus.